Which is an allosteric protein -a) Transferrinb) Ceruloplasminc) Phosphofructokinase d) Haemoglobin
1. ac
2. b
3. cd
4. d

Correct answer: 3. cd

Explanation: Hemoglobin is an allosteric protein, i.e. binding of an allosteric modulator to hemoglobin alter binding of other substrate or molecule (i.e. O2).
Phosphofructokinase I is an allosteric enzyme and is regulated allosterically in glycolysis. All enzymes (except for ribozymes) are proteins. So PFK-I is an allosteric protein.